Which of the following is the initial investigation of choice for evaluation of a suspected case of gall stones?
1. Ultrasonography
2. CT Scan
3. MRI
4. ERCP

Correct answer: 1. Ultrasonography

Explanation: Ans. is 'a' i.e., Ultrasonography * Transabdominal ultrasonography is the initial imaging modality of choice in patients with suspected gall stones, as it is accurate, readily available, inexpensive and quick to perform